White lesion in oral cavity seen in all except?
1. Spongy nevus
2. Lichen planus
3. Candidiasis
4. Erythroplakia

Correct answer: 4. Erythroplakia

Explanation: Ans. is 'd' i.e., Erythroplakia White lesions of oral mucosa are:-* Leukoplakia* Lichen planus* Discoid lupus erythematous* White spongy nevus* Candidiasis